Keratomalacia is seen in which of the following infections -
1. Chicken pox
2. Mumps
3. Diarrhoea
4. All

Correct answer: 3. Diarrhoea

Explanation: Ans. is 'c' i.e., Diarrhoes Measles predisposes to malnutrition and vitamin 'A' deficiency (see previous explanation). o Similarly diarrheal diseases can predispose to malnutrition and vitamin 'A' deficiency. Also know o Measles is also known as rubeola Term Baby measles is used for roseola infantum (exanthema subitum/ sixth disease/ three days fever) o Term German measles is used for Rubella